Troponin-T is a serological marker of which of the following condition?
1. Renal diseases
2. Muscular dystrophy
3. Cirrhosis of liver
4. Myocardial infarction

Correct answer: 4. Myocardial infarction

Explanation: Troponin is a complex of three proteins found in skeletal and cardiac muscle. Plasma levels of Troponin I and T is a sensitive and specific indicator of damage to cardiac muscle. Levels of troponins rise 2-6h after myocardial infarction and will remain elevated for 4-10 days. Troponin I most preferred because Troponin T can also be elevated by renal disease, polymyositis, or dermatomyositis. CK MB isoenzyme of creatine kinase is much more cardiac specific than CK alone and may be useful in early diagnosis of acute MI. It is detected in the serum 4-6 hours after the onset of infarction and peaks in 12 to 24 hours and normalizes in 2-3 days. Ref: Harper's Illustrated Biochemistry, 29e chapter 7.